Number of hillocks from which auricle is developed-
1. 2
2. 4
3. 6
4. 8

Correct answer: 3. 6

Explanation: Ans. is 'c' i.e., 6 o Pinna (Auricle) develops from both 1st and 2nd pharyngeal arch (Branchial arch): -Tragus and anterior crus of helix - 1st arch.Rest of the pinna - 2nd arch.o It developls from six tubercles (hillocks) which appear around the first branchial cleft,o Faulty- fusion between the first and the 2nd arch tubercles causes preauricular sinus or cyst.